All are true about Renal tubular acidosis except.
1. Impaired acid production
2. Impaired bicarbonate resorption
3. Inability to acidify urine
4. Nephrolithiasis

Correct answer: 1. Impaired acid production

Explanation: *Renal tubular acidosis type 2 is characterized by PCT damage and inability to reabsorb bicarbonate resulting in bicarbonaturia. * The damage to DCT in RTA 1 leads to an inability to acidify urine due to damage to H+ K+ antiporter * The concomitant calcium loss in urine leads to nephrolithiasis and rickets.